Lipopolysaccharide structure is characteristic of -
1. Exotoxin
2. Endotoxin
3. Both
4. None

Correct answer: 2. Endotoxin

Explanation: Endotoxins heat stable lipopolysaccharides which form an integral part of the cell wall of gram-negative bacteria . Their toxicity depends on the lipid component. They are released only by the disintegration of the cell wall. They cannot be toxoided. They are poor antigens and their toxicity is not completely neutralized by the homologous antibodies. they are active only in relatively large doses. Ref Ananthanarayan & paniker's Textbook of Microbiology 9th edition pg no 74.